Culture medium used for streptococcus pneumoniae
1. Human blood agar
2. Sheep blood agar
3. MacConkey's agar
4. Deoxycholate agar

Correct answer: 2. Sheep blood agar

Explanation: Sheep blood agar